Ventricles are lined by?
1. Oligodendrocytes
2. Ependymal cells
3. Schwann cells
4. Astrocytes

Correct answer: 2. Ependymal cells

Explanation: Ventricles are lined by Ependymal cells. The ependymal cells play an important role in the production and regulation of CSF.